Which of the following is an enzyme inhibitor -
1. Phenobarbitone
2. Cimetidine
3. Phenytoin
4. CCI4

Correct answer: 2. Cimetidine

Explanation: Ans. is 'b' i.e., Cimetidine Drues that inhibit drue metabolizine enzymeso Allopurinolo Erythromycino Chloramphenicolo Ketoconazoleo Ciprofloxacino Diltiazemo Propoxypheneo Cimetidineo Metronidazoleo Verapamilo Omeprazoleo Clarithromycino Phenylbutazoneo Itraconazoleo Sulfonamideso Amiodaroneo Isoniazido Quinidineo Disulfiramo MAO inhibitorsDrugs that induce microsomaj enzymeso Phenobarbitoneo Rifampino Isoniazido Phenylbutazoneo DDTo Carbamezepineo Clofibrateo Ritonaviro Chronic alcohol intake o Cyclophosphamideo Phenytoino Glucocorticoidso Chloral hydrateo Griseofulvino Omeprazoleo Meprobamateo Glutethimideo Cigarette smokingRemembero All Barbiturates are enzyme inducers except secobarbital, which inhibits the enzymeo Acutely, ritonavir is an inhibitor, while with chronic (repeated) administration it acts as an inducer.